What causes secretory diarrhea ?
1. Cholera
2. Laxatives
3. Excess phenolphthalein intake
4. All of the above

Correct answer: 4. All of the above